Secondary retention for a removable partial denture is provided by
1. The indirect retainer
2. The direct retainer
3. Intimate contact between the denture bases and the underlying tissues
4. Direct and indirect retainers

Correct answer: 3. Intimate contact between the denture bases and the underlying tissues